Chronic pelvic pain is defined as
1. Pain of greater than 1 month
2. Pain of greater than 3 months
3. Pain of greater than 6 months
4. Pain of greater than 12 months

Correct answer: 3. Pain of greater than 6 months

Explanation: Chronic pelvic pain is defined as pain of greater than 6 months in duration, localized to the anatomic pelvis, and severe enough to cause functional disability or necessitating medical care